Case acts as its own control in which of the following study?
1. Cross over study
2. Retrospective study
3. Prospective study
4. Case control study

Correct answer: 1. Cross over study

Explanation: Advantages of cross-over study design ( Cross over RCT): Each patient serves as his own control. All patients can be assured that they will receive the new therapy sometime during the course of investigation ( Thus, no ethical issues). Economize the total number of patients.